Temperature required for holding period of 20 minutes in Hot air oven -
1. 160deg C
2. 170deg C
3. 120deg C
4. 130deg C

Correct answer: 2. 170deg C

Explanation: Ans. is 'b' i.e., 170deg C MethodTemperature (degC)Holding time (in minutes)Autoclave12112613415103Hot air oven16017018019045187[?]51[?]5